Cerebral metabolism and 02 consumption are increased by:
1. Propofol
2. Ketamine
3. Atracurium
4. Fentanyl

Correct answer: 2. Ketamine

Explanation: B i.e. Ketamine